Which of the following is a bacteriostatic antitubercular drug?
1. Streptomycin
2. Cycloserine
3. Isoniazid
4. Rifampicin

Correct answer: 2. Cycloserine

Explanation: Bacteriostatic anti tubercular drugs are: Thiacetazone Ethionamide Ethambutol PAS Cycloserine